Most common cause of febrile non haemolytic transfusion reaction?
1. ABO mismatch
2. Rh mismatch
3. HLA mismatch
4. All of the above

Correct answer: 3. HLA mismatch

Explanation: Causes of FNHTR 1. HLA antibodies are most commonly found, followed by platelet-specific antibodies; and Granulocyte-specific antibodies. 2. Cytokines that have developed in vitro, especially in whole blood-derived platelet concentrates stored at room temperature 3. Bacterial contamination or their toxins. Platelet components are involved more often because they are stored at room temperature. However, certain organisms such as Yersinia enterocolitica proliferate in red cells at storage temperatures of 1deg to 6degC.